A body is brought for autopsy. On postmortem, there is dark brown postmortem staining and garlic odor in stomach. The poisoning is most likely due to
1. Aniline dye
2. Carbon dioxide
3. Hydrocyanic acid
4. Phosphorus

Correct answer: 4. Phosphorus

Explanation: PHOSPHORUS(P4) There are two varieties: (1) White or crystalline. (2) Red or amorphous Postmortem Appearances:- In acute poisoning, the body usually shows signs of jaundice. The gastric and intestinal contents may smell of garlic and be luminous. The mucous membranes of the stomach and intestine are yellowish or greyish-white in colour, and are softened, thickened, inflamed and corroded or destroyed in patches. Multiple smaller or larger haemorrhages are seen in the skin, subcutaneous tissues, muscles, and serosal and mucosal membranes of gastrointestinal and respiratory tract, under endocardium, pericardium, epicardium, peritoneum, in lungs, brain, leptomeninges and uterus. The liver becomes swollen, yellow, soft, fatty and is easily ruptured. Small haemorrhages may be seen on the surface and in the substance. The kidenys are large, greasy, yellow and show haemorrhages on the surface. The heart is flabby, pale and shows fatty degeneration. Fat emboli may be found in the pulmonary arterioles and capillaries. The blood may appear tarry and its coagulability is diminished. Ref:- k s narayan reddy; pg num:-551